Which of the following is not a type of trait of the permanent maxillary second premolar?
1. Buccal view: narrow shoulders (margins of crown; mesio- and disto-occlusal angles).
2. Occlusal table outline: ovoid.
3. Mesiomarginal groove interrupts mesial marginal ridge.
4. Lingual view: buccal profile is not visible.

Correct answer: 3. Mesiomarginal groove interrupts mesial marginal ridge.

Explanation: No, or almost never does the mesial marginal developmental groove cross the mesial marginal ridge.